Shifting dullness is the characteristic sign of
1. Hydropneumothorax
2. Pneumothorax
3. Consolidation
4. Collapse

Correct answer: 1. Hydropneumothorax

Explanation: Hydropneumothorax is collection of both fluid(lower part) and air(upper part) in the pleural cavity.The hallmark diagnosis in hydropneumothorax is 3 'S':Shifting dullness(due to the presence of free fluid & air within the pleural cavity,dullness of fluid shifts from one place to other within chest with the change of posture of the patient),Succussion splash,and Straight fluid level(upper limit of dullness is horizontal).